X-rays are produced when:
1. Electron beam strike the nucleus of the atom
2. Electron beam strikes the anode
3. Electron beam reacts with the electromagnetic field.
4. Electron beam strikes the cathode

Correct answer: 2. Electron beam strikes the anode

Explanation: B i.e. Electron beam strikes the anode